Most useful method of estimating total iron content of blood:
1. Ferritin
2. Transferrin
3. Erythropoietin
4. Lactoferrin

Correct answer: 1. Ferritin

Explanation: Ans. A: Ferritin Iron is absorbed in ferrous (Fe 2+) form in the duodenum. Ferritin is the storage form of iron. Transferrin is iron transporter protein 70% of iron in the body is hemoglobin Ferritin which is not combined with iron is called apoferritin. Under steady conditions, the serum ferritin level correlates with total body iron stores; thus, the serum ferritin level is the most convenient laboratory test to estimate iron stores. The ferritin levels measured have a direct correlation with the total amount of iron stored in the body. If ferritin is high there is iron in excess, If ferritin is low there is a risk for lack in iron. Serum ferritin is the most sensitive lab test for iron deficiency anemia. Ferritin is also used as a marker for iron overload disoreders, such as hemochromatosis and porphyria in which the ferritin level may be abnormally raised.